Zinc is essential for -
1. Pyruvate lrinase
2. Cytochrome oxidase
3. Xanthine oxidase
4. Carbonic anhydrase

Correct answer: 4. Carbonic anhydrase

Explanation: Ans. is 'd' i.e., Carbonic anhydrase